Which of the following is not a tumor marker for hepatocellular carcinoma
1. AFP
2. PIVKA II
3. CEA
4. Glycipin 3

Correct answer: 3. CEA

Explanation: CEA is raised in colon ca.